Locked-in state is characterized by -
1. Paralysis of all voluntary muscles with unconsciousness
2. Paralysis of all voluntary muscles except ocular muscles
3. Injury to medulla
4. Loss of cognitive function

Correct answer: 2. Paralysis of all voluntary muscles except ocular muscles

Explanation: Ans. is 'b' i.e., Paralysis of all voluntary muscles except ocular muscleso Locked-in syndrome is caused by damage to pons, especially ventral pons.o It may be due to infarct, hemorrhage or trauma.o There is Quadriplegia, lower cranial nerve palsies, and mutism with preservation of consciousness.o Vertical gaze and upper eyelid movements are preserved.o Cognitive function is intact.